Highest bond strength is found in which generation of dentin bonding agent?
1. 4th generation
2. 5th generation
3. 6th generation
4. 7th generation

Correct answer: 1. 4th generation

Explanation: Bonding strength of dentin bonding agents generations:

First -  2-3 MPa
Second – 1-5 MPa
Third – 3-13 MPa
Fourth – 13-80 MPa
Fifth – 3-75 Mpa 
Sixth – 10-75 Mpa 
Seventh – 0-60 Mpa